Which of the following organs has the most permeable capillaries?
1. Brain
2. Posterior pituitary gland
3. Liver
4. Small intestine

Correct answer: 3. Liver